Which cholesterol is designated as "Good Cholesterol"?
1. VLDL
2. LDL
3. HDL
4. IDL

Correct answer: 3. HDL

Explanation: HIGH-DENSITY LIPOPROTEIN (HDL)High-density lipoproteins transport cholesterol from peripheral tissues to the liver. The major apoproteins in HDL are Apo-A1, with some Apo-A2, Apo-C, and Apo-E. HDL serves as a plasma reservoir of Apo-C and Apo-E which can be transferred to VLDL and chylomicrons and back clinical Significance of HDL The level of HDL in serum is inversely related to the incidence of myocardial infarction. As it is "antiatherogenic" or "protective" in nature, HDL is known as "good cholesterol" in common parlance. It is convenient to remember that "H" in HDL stands for "Healthy". HDL level below 35 mg/dl increases the risk, while the level above 60 mg/dl protects the person from coronary artery diseases.Ref: DM Vasudevan - Textbook of Biochemistry, 6th edition, page no: 155-157